Biological False l'ositive/ BFP serological test for syphilis may be encountered in:
1. Viral hepatitis
2. SLE
3. Leprosy
4. All of the above

Correct answer: 4. All of the above

Explanation: Ans. D i.e. All of the above